Renin antagonist is -
1. Losartan
2. Benazepril
3. Remikiren
4. Imidapril

Correct answer: 3. Remikiren

Explanation: Ans. is'C' i.e., Remikiren Drugs acting on RAS ACE inhibitors: Captopril, enalapril, lisinopril, ramipril, perindopril, imidapril, trandopril, benazepril, fosinopril. Renin inhibitors: Aliskiren, remikiren, enakiren. AT1 blockers: Losartan, candesartan, irbesartan, valsartan, telmisartan.